Tensile strength of wound after laparoscopic cholecystectomy in a 30 years old woman depends upon -
1. Replacement of type 3 collagen
2. Extensive crosslinking of tropocollagen
3. Macrophage activity/invasion
4. Granulation tissue

Correct answer: 2. Extensive crosslinking of tropocollagen

Explanation: . Extensive crosslinking of tropocollagen